Drug given in cardiogenic shock is:
1. Dopamine.
2. Phenylephrine.
3. Atropine.
4. Digoxin.

Correct answer: 1. Dopamine.